Tubocurare affects which muscle first?
1. Head and neck
2. Limbs
3. Respiratory muscles
4. Abdominal muscles

Correct answer: 1. Head and neck

Explanation: Sequence of blockade : face - jaw- pharynx - larynx - respiratory (including diaphragm) - trunk muscle - limb muscle. Face muscles are involved earliest. 1)in non-depolarising blocker (d-Tc), earliest clinical sign is Ptosis and diploia 2)In succinylcholine (depolarising blocker ),First clinical sign is Fasciculation of eye lids.